Menstrual regulation is done up to :
1. 10 weeks
2. 18 weeks
3. 6 weeks
4. 20 weeks

Correct answer: 3. 6 weeks

Explanation: 6 weeks